High anion gap metabolic acidosis is seen in-
1. Salicylate poisoning
2. Methanol Poisoning
3. Starvation
4. All the above

Correct answer: 4. All the above

Explanation: Ans. is 'd' i.e., All the above Causes of Non-Anion Gap AcidosisI. Gastronintestinal bicarbonate lossA. DiarrhoeaB. External pancreatic or small-bowel drainageC. Ureterosigmoidostomy, jejunal loop, ileal loopD. Drugs1. Calcium chloride (acidifying agent)2. Magnesium sulfate (diarrhoea)3. Cholestyramine (bile acid diarrhoea)II. Renal acidosisA. Hypokalemia1. Proximal RTA (type 2)2. Distal (classic) RTA type 1)B. Hyperkalemia1. Generalized distal nephron dysfunction (type 4 RTA)a) Mineralocorticoid deficiencyb) Mineralocorticoid resistancec) Na+ delivery to distal nephrond) Tubulointerstitial diseasee) Ammonium excretion defectIII. Drug induced hyperkalemia (with renal insufficiency)A. Potassium-sparing diuretics (amiloride, triamterene, spironolactone)B. TrimethoprimC. PentamidineD. Angiotension-converting enzyme inhibitors and AT-II receptor blocker.E. Nonsteroidal anti-inflammatory drugsF. CyclosporineIV. OtherA. Acid loads (ammonium chloride, hyperalimentation)B. Loss of potential bicarbonate: ketosis with ketone excretionC. Expansion acidosis (rapid saline administration)D. HippurateE. Cation exchange resins.Causes of hgh-anion gap metabolic acidosisLactic acidosisToxinKetoacidosisEthylene glycolDiabeticMethanolAlcoholicSalicylatesStarvationPropylene glycolPyroglutamic acidRenal failure (acute and chronic)